Opso myoclonus is seen in -
1. Neuroblastoma
2. Nephroblastoma
3. Retino blastoma
4. Melanoma

Correct answer: 1. Neuroblastoma